All of the following are true for Craniopharyngioma except?
1. Derived from Rathke's pouch
2. Can lead to central DI
3. Present in sellar or infrasellar location
4. Causes visual disturbances

Correct answer: 3. Present in sellar or infrasellar location

Explanation: Craniopharyngioma: Benign Suprasellar tumor Derived from cells of Rathke's pouch. Lead to pressure on optic chiasma leading to bitemporal hemianopia. Can also lead to central DI.